Dribbling of saliva is feature of:
1. Antemortem hanging
2. Strangulation
3. Postmortem hanging
4. Drowning

Correct answer: 1. Antemortem hanging

Explanation: Signs of antemortem hanging: Salivary dribbling is seen on the opposite side of the knot. Le facie sympathique : is ipsilateral dilatation of the pupil and partial opening of the eyelids.